Under teh NMEP, the minimum annual blood examination rate should be -
1. 10%
2. 12%
3. 14%
4. 18%

Correct answer: 1. 10%

Explanation: NMEP: national malaria eradication programme Objective- to achieve API<1 per 1000 population by the end of 2017. Goals: 1. Screening of all fever cases suspected of malaria(60% through quality microscopy and 40% by rapid diagnostic test) 2. Treatment of all P.falciparum cases with full course of effective ACT and primaquine ,and all P.vivax with 3 days chloroquine and 14 days primaquine. 3. Equipping all health institutions and RDT for emergency and injectable artemisinin derivatives. 4. Strengthening all district and subdistrict hospitals in malaria endemic areas. Outcome indicators: 1. At least 80% of those suffering from malaria get correct ,affordable, appropriate and complete treatment within 24 hrs of reporting to health centres. 2. At least 80% of those at high risk of malaria get protected by effective preventive measures 3. At least 10% of population in high risk areas is surveyed annually.( ABER>10%) {Reference:- park's textbook of preventive and social medicine, 23rd edition, pg no.285}